Absent moro's reflex is seen in which of the following conditions
1. Neonatal hypoglycemia
2. Erb's Palsy
3. Fracture clavicle
4. Stage III hypoxic Ischaemic Encephalopathy (HIE)

Correct answer: 4. Stage III hypoxic Ischaemic Encephalopathy (HIE)

Explanation: Absent Moro's reflex seen in:

Stage III HIE
Kerincterus
Down syndrome

Brisk / Exaggerated Moro's reflex seen in;

Stage I HIE
Neonatal hypoglycemia

Asymmetric moro's reflex seen in:

Fracture clavicle
Erb's palsy
Congenital hemiplegia.